Most important indicator of successful neonatal resuscitation:
1. Color change
2. Improved air entry
3. Increase in heart rate
4. Bilateral chest movements

Correct answer: 3. Increase in heart rate

Explanation: Most important indicator of successful neonatal resuscitation - Increase in heart rate.